Hera Lal's 10 year old child present in casualty with snakebite since six hours. On examination no systemic signs are found & lab investigation are normal except localized swelling over the leg of < 5 cm. Next step in management would be :
1. Incision & suction of local swelling
2. I/V ply antivenum
3. S/cutaneous anti venum at local swelling
4. Observe the Patient for progression of symptoms wait for antivenum therapy

Correct answer: 4. Observe the Patient for progression of symptoms wait for antivenum therapy

Explanation: D i.e. Observe the patient for progression of symptoms and wait for anti venom therapy